Which of the following doesn't form the right side of the mediastinal shadow?
1. Superior venacava
2. Right innominate vessels
3. Right border of atrium
4. Right ventricle

Correct answer: 4. Right ventricle

Explanation: Right ventricle forms the anterior border of heart.